Fluoroquinolone having longest half–life is :
1. Levofloxacin
2. Lomefloxacin
3. Ciprofloxacin
4. Moxifloxacin

Correct answer: 4. Moxifloxacin